All of the following drugs can lead to SLE like reaction except?
1. Hydralazine
2. Penicilline
3. Isoniazid
4. Sulphonamide

Correct answer: 2. Penicilline

Explanation: Ans. b. Penicilline